Recovery in cataract surgery is fastest with which of the following?
1. ICCE
2. ECCE
3. Phaco emulsification
4. ECCE with IOL

Correct answer: 3. Phaco emulsification